A 64 years old gentleman is brought with severe central chest pain radiating to the left arm for the last 30 minutes. He is profusely sweating and is in agony. Which of the following disease he is likely to be suffering from?
1. Stable angina
2. Oesophagitis
3. Acute myocardial infarction
4. Pleurisy

Correct answer: 3. Acute myocardial infarction